What difficulty is assessed by Mallampati score/classification-
1. Inadequate mouth opening
2. Short and thick neck
3. Long upper incisors
4. Large tongue

Correct answer: 4. Large tongue

Explanation: The Mallampati classification has become standard for assessing the relationship of the tongue size relative to oral cavity. from class 1 to 4 gradually tongue size is increasing.